The average value of total body water in a young man In....... % of body weight
1. 20-40
2. 30-50
3. 60-65
4. 90-96

Correct answer: 3. 60-65

Explanation: (C) 60-65 # BODY COMPOSITION:> In an average young adult male, 18% of body wt is protein.7% is mineral, and 15%is fat.> The remaining 60% is water.> The intracellular component of body water accounts for about 40% of body wt. and the extracellular component for about 20%.> Approximately 25% of the extracellular component is in the vascular system(plasma =5% of body wt.) and 75% outside the blood vessels(interstitialfluid=15% of body wt.).> The total blood volume is about 8% of the body wt".